Pityriasis rosea  is caused by
1. Autoimmune etiology
2. HHV 3 & 4
3. HHV 4 & 5
4. HHV 6 & 7

Correct answer: 4. HHV 6 & 7

Explanation: Pitryiasis rosea is caused by HHV 7 > HHV 6